Following death of a person, what happens to potassium level in the vitreous.
1. Potassium level falls
2. Potassium level increases
3. Remains unchanged
4. It depends on cause of death

Correct answer: 2. Potassium level increases

Explanation: Potassium concentration raises at the rate of 0.17-0.25 mmol per hour following death. It helps in determination of time since death.